All of the following Salmonellae are motile except?
1. S. typhi
2. S. enteridis
3. S. gallinarum pullorum
4. S. chester

Correct answer: 3. S. gallinarum pullorum

Explanation: Ans. is 'c' i.e., S. gallinarum pullorum * All salmonellae are motile with peritrichate flagella except S. gallinarum pullorum, which is non-motile.